Most common muscle involved in volkmann's ischemic contracture is
1. Flexor- pollicis longus
2. Flexor-digitorum profunds
3. Flexor-indicis
4. Abductor pollicis

Correct answer: 2. Flexor-digitorum profunds

Explanation: B i.e. Flexor-digitorum profunds